Lingual lipase is secreted by
1. Parotid glands
2. Ebner's gland
3. Sublingual glands
4. None

Correct answer: 2. Ebner's gland

Explanation: The 1973 discovery of lingual lipase, which is secreted by lingual serous glands and hydrolyzes medium- and long-chain triglycerides in the stomach, has renewed interest in the gastric phase of fat digestion. In humans, lipase is present in the serous (von Ebner) glands of the tongue, where it is localized in zymogen granules. Ref: guyton and hall textbook of medical physiology 12 edition page number: 436,437,438